Maximum penetrating radiation among the below is
1. Electrons
2. Gamma rays
3. Alpha particles
4. Beta particles

Correct answer: 2. Gamma rays

Explanation: The penetrating power of alpha rays, beta rays, and gamma rays varies greatly. Alpha particles can be blocked by a few pieces of paper. Beta particles pass through paper but are stopped by aluminium foil. Gamma rays are the most difficult to stop and require concrete, lead, or other heavy shielding to block them.Reference: Eric J Hall Textbook of Radiobiology for Radiologist; 5th edition